The following is the 4th Millennium Development Goal:
1. To reduce maternal mortality rate
2. Combat HIV/AIDS
3. Environmental sustainability
4. To reduce infant mortality rate

Correct answer: 4. To reduce infant mortality rate

Explanation: Millennium development goals

Baseline year for MDG – 1990
Deadline year for MDG – 2015
In total there are 8 goals, 21 quantifiable targets and 60 indicators. Out of these, 3 goals, 8 targets and 18 indicators are directly related to health.

Goals of MDG